Dietl crisis is seen in:
1. Intermittent hydronephrosis
2. Unilateral hydronephrosis
3. Bilateral hydronephrosis
4. Refractory hydronephrosis

Correct answer: 1. Intermittent hydronephrosis

Explanation: Ans: a (Intermittent hydronephrosis) Ref: Bailey & Love, 24th ed,Died crisis is seen in intermittent hydronephrosis.Dietel crisisAfter an attack of a/c renal pain a swelling in loin is found. Pain is relieved and swelling disappears following the passage of a large volume of urine some hours later.Note:Unilateral hydronephrosis is most commonly caused by idiopathic pelviureteric junction obstruction or calculus. Right side is more commonly involved.